In angina pectoris-during exertion:
1. Always associated with loss of consciousness
2. Readily responds to oral nitroglycerin
3. Best treated by intravenous morphine
4. Administration of CO2 hastens recovery

Correct answer: 2. Readily responds to oral nitroglycerin